Hansen's bacillus is cultured in -
1. L J medium
2. Robertson's cooked meat medium
3. Foot pad of mice
4. Sabraud's agar

Correct answer: 3. Foot pad of mice

Explanation: Ans. is 'c' i.e., Foot pad of mice o Hansen's bacillus is M. lepraeo M. leprae is obligate intracellular organism, thus cannot be grown in cell free culture medium. Two animals are used for cultivation:-1) Armadillo (Nine banded armadillo) is highly susceptible and provides sufficient bacilli for a number of studies and for production of skin test reagent, Lepromin A.2) Footpad of mice has been used for testing of sensitivity of antileprotic drug (replication in foot pad of mice is limited and less numerous than armadillo).o Generation time of M. leprae is 12-13 days.o Lepra bacilli has affinity for schwann cells and R.E. cells.o M. leprae grows better in cooler tissues (the skin, peripheral nerves, anterior chamber of eye, upper respiratory tract and testis), sparing warmer areas of skin (the axilla, groin, scalp and mid line of the back).